Acantholysis is due to destruction of :
1. Epidermis
2. Subepidermis
3. Intercellular substance
4. Basement membrane

Correct answer: 3. Intercellular substance

Explanation: Ans. is 'c' Intercellular Substance It is loss of cohesion b/w epidermal cells due to destruction of intercellulare substance. IgG Antibodies are formed against the intercellular substance.Acantholysis occurs in stratum Basale in Pemiphus Vulgaris*Acantholysis is demonstrated by Nikolsky's sign*Acantholytic cells are demonstrated by Tzanck smear*